Allen test detects insufficiency of which artery
1. Radial artery
2. Umbilical artery
3. Popliteal artery
4. Aorta

Correct answer: 1. Radial artery

Explanation: Allen's Test Tests the adequacy of the blood supply to the hand from the radial and ulnar arteries and the arcade between them Allen's test is used to know the integrity of palmar arcg (patency of radial and ulnar arteries). If these are patent, AVF can be safely ligated Method of Allen's test Elevate the hand and apply digital pressure on the radial and ulnar arteries to occlude them Ask the patient to make a fist several times The tips of the finger should go pale. Release each artery in turn and observe the return of colour Ref : Sabiston 20th edition Pgno :1979